Right bronchus is ?
1. Longer and narrow
2. Shorter and narrow
3. Longer and wider
4. Shorter and wider

Correct answer: 4. Shorter and wider

Explanation: Ans. is 'd' i.e., Shorter and widerRight bronchus is -ShorterWider More vertical in the line of trachea.J Therefore, a foreign body is most likely to lodge in the right bronchus.